In cerebral angiography, dye is injected through:
1. Femoral artery
2. Brachial artery
3. Axillary artery
4. Radial artery

Correct answer: 1. Femoral artery

Explanation: Ans. Femoral artery